Torquing forces or lateral forces on distal abutment
1. Are of less magnitude but most destructive
2. Are of less magnitude and are more favourable
3. Are of greater magnitude and more favourable
4. There are no lateral forces acting on the distal abutment tooth.

Correct answer: 1. Are of less magnitude but most destructive